Recurrent laryngeal nerve supplies all of the following muscles except:
1. Cricothyroid
2. Lateral cricoarytenoid
3. Posterior cricoarytenoid
4. Thyroepiglotticus

Correct answer: 1. Cricothyroid

Explanation: Cricothyroid